Uremic lung most often results due to :
1. Pulmonary edema
2. Fibrosis
3. Alveolar injury
4. CVC liver

Correct answer: 1. Pulmonary edema

Explanation: A i.e. Pulmonary edema